Fast pain has a conduction velocity of _____ m/sec.
1. 1
2. 5
3. 15
4. 50

Correct answer: 3. 15

Explanation: Fast pain has a nerve fiber (A delta) conduction velocity of 12 to 30 m/sec. Slow pain has a nerve fiber (C) conduction velocity of 0.5 to 2 m/sec.